All of the drugs are useful in typhoid EXCEPT:
1. Ampicillin
2. Ceftriaxone
3. Clindamycin
4. Quinolones

Correct answer: 3. Clindamycin

Explanation: Ans. C i.e. Clindamycin Clindamycin It is used primarily to treat anaerobic infections caused by susceptible anaerobic bacteria, including dental infections, and infections of the respiratory tract, skin, and soft tissue, and peritonitis. In patients with hypersensitivity to penicillins, clindamycin may be used to treat infections caused by susceptible aerobic bacteria, as well. It is also used to treat bone and joint infections, particularly those caused by Staphylococcus aureus. Topical application of clindamycin phosphate can be used to treat mild to moderate acne